Radiation protection shields are made up of:
1. Copper
2. Silver
3. Lead
4. Tin

Correct answer: 3. Lead

Explanation: Ans. Lead